Rapid change of presbyopic glass is a feature of -
1. Senile cataract
2. Retinal detatchment
3. Intumescent cataract
4. Open angle glaucoma

Correct answer: 4. Open angle glaucoma

Explanation: Difficulty in reading and close work ,often persistently increasing ,is experienced by most patients . This occur due to increasing accomodative failure as a result of constant pressure on the ciliary muscle and its nerve supply.Therefore,patients usually complain of , frequent changes in presbyopic glassesRef:Ophthalmology A K Khurana -6th edition chapter -10 page no:229